Granular cell myoblastoma of tongue is
1. Benign tumor
2. Malignant tumor of the tongue
3. Lymphatic enlargement of the tongue
4. Developmental anomaly of the tongue

Correct answer: 1. Benign tumor